Endo sealer containing polyketone is
1. Diaket
2. Cavit
3. Ah 26
4. Hydron

Correct answer: 1. Diaket